True statement about cyclooxygenase -2 is:
1. It is not inhibited by indomethacin
2. It is inducible
3. It generates cytoprotective prostaglandins in gastric mucosa
4. It is found only in fetal tissues

Correct answer: 2. It is inducible

Explanation: COX-1 is a house-keeping enzyme that is responsible for the generation of gastroprotective PGs. COX-2 is an inducible enzyme whose production is markedly increased at inflammatory sites. Indomethacin is a nonselective inhibitor of both isoforms of COX.